Adrenal insufficiency in not associated with ?
1. Hyponatremia
2. Hyperkalemia
3. Hypoglycemia
4. Metabolic alkalosis

Correct answer: 4. Metabolic alkalosis

Explanation: Ans. is 'd' i.e., Metabolic alkalosis Features of adrenal insufficiency (Addison's disease) are :-i) Hypoglycemiaiv) Hyponatremiaii) Hyperpigmentationv) Hypotensioniii) Hyperkalemiavi) Metabolic acidosisAssociated features are nausea, vomiting, diarrhea and abdominal cramps.